Difference between plasma and interstitial fluid is that interstitial fluid contains
1. More protein and same ions
2. Same protein and low ions
3. Low protein and same ions
4. Low protein and low ions

Correct answer: 3. Low protein and same ions

Explanation: Plasma has more proteins compared to interstitial fluid due to presence of albumin, globumin, clotting factors, transporter proteins and many more.